Drug of choice for warfarin toxicity:
1. Protamine sulfate
2. Vitamin K
3. Dipyridamole
4. Ticlopidine

Correct answer: 2. Vitamin K

Explanation: Ans. B. Vitamin KWarfarin is oral anticoagulant which inhibit the vitamin K dependent clotting factors. Bleeding is the adverse effect seen with overdose of warfarin. Fresh frozen plasma can be given to supply the clotting factors but specific antidote is vitamin K. It is usually prescribed when INR is between 5-9.